Delayed wound healing is seen in all except
1. malignancy
2. hypertension
3. diabetes
4. infection

Correct answer: 2. hypertension